A 3 year old child presents with developmental delayed in speech. He has difficulty in communication and social interactions. His teachers and parents are worried that he is not making any friends. He is observed to have unusual routines and repetitive activities. What is the likely diagnosis?
1. Autism
2. ADHD
3. Specific learning disability
4. Intellectual disability

Correct answer: 1. Autism

Explanation: Difficulty in communication, delayed speech, obsessiveness and problems in forming social relatonships in early childhood suggests the diagnosis of autism. The triad of autism include communication difficulties, repetitive or obsessional behaviours and difficulties in social interactions. Ref: Essentials of Pediatrics by O P Ghai 6th Edition, Page 65; CPDT 18th Edition, Page 186,187